ASD is associated with all except ?
1. Infective endocarditis
2. Stroke
3. Arrhythemia
4. Pulmonary hypeension

Correct answer: 1. Infective endocarditis

Explanation: Ans. is 'a' i.e., Infective endocarditis o ASD is usually subtle and not having significant problem except mild growth disturbance. o Ostium secundun ASD is M.C. type of ASD. o Ostium secundum ASD usually associated with mitral valve prolopse or stenosis (Lutembacher's Syndrome). o Complication usually develop in 4thclecade and include : I) Pulmonary hypeension 2) Rt. sided hea failure 3) Stroke 4)Eisenmenger's syndrome Infective endocarditis is very rare in ASD and not require any antibiotic prophylaxis.